World Anti-Tobacco day
1. 31st May
2. 1-Dec
3. 7th April
4. 29th September

Correct answer: 1. 31st May

Explanation: World health day - 7th April.
World AIDS day - 1 December.
World Anti-Tobacco day - 31st May.
World Heart day - 29th September.
World Anaesthesia day - 16 October.
National Epilepsy day - 17th November.